James Lind was associated with:
1. Multifactorial causation
2. Prevention of Scurvy
3. Pox vaccine
4. Germ theory of disease

Correct answer: 2. Prevention of Scurvy

Explanation: Prevention of Scurvy